True about bipolar disorder type II is-
1. Recurrent depression
2. Recurrent mania
3. Repetitive depression & mania
4. Repetitive depression & hypomania

Correct answer: 4. Repetitive depression & hypomania

Explanation: D i.e. Repetitive depression & hypomania